Which one of the following is the level of residual free chlorine recommended for swimming pool water disinfection ?
1. 0.5 mgilitre
2. 0.8 mg/litre
3. 1 mg/litre
4. 5 mg/litre

Correct answer: 3. 1 mg/litre

Explanation: Ans. is 'c' i.e., I mg/lit